An example for tooth colored bracket is
1. Ceramic bracket
2. Ceram flex bracket
3. Polyacrylic bracket
4. All of these

Correct answer: 4. All of these